Which of the following induction agents is the most suiatable for day care surgery?
1. Morphine
2. Ketamine
3. Propofol
4. Diazepam

Correct answer: 3. Propofol

Explanation: Ans. is 'c' i.e., Propofol "Propofol is particularly suitable for day care surgery because residual impairment is less marked and shorter lasting".